Plasma cells are mostly seen in one of the stages of gingivitis
1. Initial lesion
2. Early lesion
3. Established lesion
4. Advanced lesion

Correct answer: 3. Established lesion